Which of the following statement about fibrinous exudate is FALSE?
1. It is associated with many types of severe inflammation
2. It has low protein content
3. It has fibrin precipitates
4. It induces connective tissue organization

Correct answer: 2. It has low protein content